Most common organism to cause OPSI
1. Streptococcal pneumonia
2. H. influenza
3. Mycobacterium TB
4. Babesia

Correct answer: 1. Streptococcal pneumonia

Explanation: Ans (a) Streptococcal pneumoniaRef Sabiston page 1568/20th edition* 50-90% cases of OPSI is due to streptococcal pneumonia.* PPV23 vaccine is given nowadays 2 weeks prior to elective surgery